Tufting of distal phalanx is characteristically seen in?
1. Gout
2. Psoriatic arthrophathy
3. Hypoparathyroidism
4. Paget's disease

Correct answer: 2. Psoriatic arthrophathy

Explanation: Ans BTufting of distal phalynx is acroosteolysis caused heterogeneous group of pathological entities:Causes: (Remember as Mnemonic: PINCH OF Extremity- as it is almost as if the tip of the extremity is pinched off/resorbed)* Pyknodysostosis* Infection-Leprosy* Injury-Frostbite/electric injury* Neuropathic-Tabes dorsalls, Syringomyella, Diabetes* Cleidocranial dysplasia* Hyperparathyroidism* Other- Sarcoidosis, Kaposi's, Psoriasis* Familial disorders* Ergot poisoning